Which of the following muscle is supplied by obturator nerve:
1. Gluteus medius
2. Obturator internus
3. Sartorius
4. Adductor brevis

Correct answer: 4. Adductor brevis

Explanation: Ans. D Adductor brevisRef: Gray's Anatomy 41st ed. P 1364 Adductor brevis is muscle of medial compartment of thigh. Muscles of this compartment are: Muscles:# Adductor longus# Adductor brevis# Adductor magnus (Adductor portion)# Gracilis ActionAdduction of HIP joint Nerve supply:Obturator nerve